PQLI lies between
1. 0 and 1
2. 0 and 10
3. 0 and 100
4. 1 and 10

Correct answer: 3. 0 and 100

Explanation: PQLI -Physical quality of life index. The value is the average statistics, literacy rate, infant mortality, life expectancy at age 1 ,all equally weighted on a 0 to 100 scale